Lupus vulgaris is
1. Generalized collagen disease
2. A local collagen disease of the face
3. Syphilitic lesion on the face
4. Tuberculosis lesion (skin) on the face

Correct answer: 4. Tuberculosis lesion (skin) on the face